Decarboxylation of Ammo acid produces all except
1. Histamine
2. Proline
3. Tryptamine
4. Tyramine

Correct answer: 2. Proline

Explanation: Amino decarboxylase catalyzes several different decarboxylation reactions: L-DOPA to dopamine L-phenylalanine to phenethylamine L-tyrosine to tyramine L-histidine to histamine L-tryptophan to tryptamine 5-hydroxytryptophan to serotonin (5-hydroxytryptamine) The enzyme uses pyridoxal phosphate, the active form of vitamin B6, as a cofactor. Products of Decarboxylation and its uses. Ref: Biochemistry by U. Satyanarayana 3rd edition Pgno : 375